Tertiary chorionic villi develop in which intrauterine week?
1. 3rd week
2. 5th week
3. 7th week
4. 9th week

Correct answer: 1. 3rd week

Explanation: HUMAN EMBRYOLOGY-INDERBIR SINGH tenth edition-page no 93